Which of the following GLP - 1 analogue is cardioprotective?
1. Exenatide
2. Lixisenatide
3. Liraglutide
4. Teduglutide

Correct answer: 3. Liraglutide

Explanation: Liraglutide is cardioprotective and it is also used to treat obesity.